Which of the following is not a consequence of stimulation of lung C fiber endings?
1. Bronchoconstriction
2. Apnea
3. Rapid shallow breathing
4. Systemic vasoconstriction

Correct answer: 4. Systemic vasoconstriction

Explanation: Ans. D. Systemic vasoconstrictionStimulation of lung C fibers will cause bronchoconstriction, apnea, rapid shallow breathing, and skeletal muscle relaxation.